All may lead to hives and wheels except
1. Cold
2. Hepatitis C
3. Serum Sickness
4. Typhoid Fever

Correct answer: 4. Typhoid Fever

Explanation: D i.e. Typhoid fever Typhoid, rubella and rubeola (measles) leads to morbilliform - exanthems (not to urticaria or hives)Q